Which among the following is a branch from the trunk of brachial plexus?
1. Suprascapular nerve
2. Long thoracic nerve
3. Anterior thoracic nerve
4. Dorsal scapular nerve

Correct answer: 1. Suprascapular nerve

Explanation: Branches of root- Long thoracic nerve, dorsal scapular nerve 
Branches of the upper trunk- Suprascapular nerve, nerve to subclavius
Branches of the cords
-        Lateral cord

Lateral pectoral nerve
Musculocutaneous nerve
Lateral root of median nerve

-        Medial cord

Medial pectoral nerve
Medial cutaneous nerve of arm
Medial cutaneous nerve of forearm
Ulnar nerve
Medial root of median nerve

-        Posterior cord

Upper and lower subscapular nerves
Thoracodorsal nerve
Axillary nerve
Radial nerve